The anterior and posterior neuropores close during which week of embryonic development?
1. Week 2
2. Week 3
3. Week 4
4. Week 5

Correct answer: 3. Week 4

Explanation: Anterior and posterior neuropores close during week 4 of development- the anterior neuropore by day 25, the posterior neuropore by day 28. Failure of the fusion of anterior neuropore results in Anencephaly Failure of the fusion of posterior neuropore results in Rachis chisis. Ref: Gray's Anatomy 41st edition Pgno: 238